Hutch diverticulum is seen in
1. Bladder
2. Ureter
3. Duodenum
4. Caecum

Correct answer: 1. Bladder

Explanation: Hutch diverticulum is a congenital type of bladder diverticulum characterised by herniation of bladder mucosa through a weak point in the wall near the ureterovesical junction, often caused by chronically high intravesical pressure.